Income generated within a country is known as:
1. Gross Domestic Product (GDP)
2. Net National Product (NNP)
3. Net Domestic Product (NDP)
4. Purchasing Power Parity (PPP)

Correct answer: 1. Gross Domestic Product (GDP)

Explanation: Gross Domestic Product (GDP):Gross income generated within a country (excludes net income received). Gross National Income (GNI)/Gross National Product (GNP): Is gross income generated from within the country and also net income received from abroad . Net National Product (NNP): GNP minus capital we consume. Net Domestic Product (NDP): GDP minus value of depreciation on fixed assets. Purchasing Power Parity (PPP): No. of units of a country's currency required to by the same amount of goods and services in domestic market, as 1 dollar would buy in USA.